Which of the following is not a feature of retinoschisis
1. Splitting of inner retinal layers
2. Require active treatment
3. Caweel maculopathy is seen
4. May be seen in patients of high myopia

Correct answer: 2. Require active treatment

Explanation: Retinoschisis does not need active treatment as compared to retinal detachement Retinoschisis : * Term is used to describe splitting of inner retinal layers(intra neurosensory layer). * Can be acquired or juvenile X linked congenital retinoschisis * Absolute scotoma is seen as a clinical feature * Beaten metal appearance is seen over elevated retinal surface * Does not require active treatment * Inferotemporal location is most common * Laser will blanch retinoschis but not a retinal detachment * OCT is the investigation of choice to diagnose * May be seen in cases of pathological myopia